Saturday night palsy is which type of nerve injury?
1. Neuropraxia
2. Axonotemesis
3. Neurotemesis
4. Complete section

Correct answer: 1. Neuropraxia

Explanation: Ans. is 'a' i.e., Neuropraxia Seddon's classification of nerve injuries Seddon identified three types of injuries 1. Neuropraxia There is contusion of the peripheral nerve which causes reversible physiological nerve conduction block. The axis cylinder (i.e., axon with its endoneurium) is preserved. Thus, there is physiological conduction block without anatomic disruption. The injury is temporary and recovery is complete. It is seen in crutchpalsy, tourniquet palsy, and saturday night palsy. 2. Axonotemesis There is injury to axon but endoneurium is preserved. Spontaneous recovery is expected in some cases. This is seen in closed fractures and dislocations. 3. Neurotemesis There is complete anatomical section of nerve. No recovery possible. It is seen in open wound.